In otosclerosis, the tympanogram is:
1. Low compliance
2. High compliance
3. Normal compliance
4. None of the above

Correct answer: 1. Low compliance

Explanation: In otosclerosis - As type curve is seen which is a low compliance curve.